Cerestore is:
1. Machinable glass ceramic
2. Shrink free ceramic
3. Castable ceramic
4. Injection ceramic

Correct answer: 2. Shrink free ceramic